The term "balanced anaesthesia" has been given by?
1. Simpson
2. Fischer
3. Lundy
4. Moan

Correct answer: 3. Lundy

Explanation: Ans. is 'c' i.e., Lundy Term 'balanced anaesthesia' was introduced by Lundy in 1926. Balanced anaesthesia The cardinal feature of general anaesthetics are : ? Loss of all sensations, especially pain Sleep (unconciousness) and amnesia Immobility and muscle relaxation Abolition of reflexes In modern practice of balanced anaesthesia these modalities are achieved by using combination of inhaled and iv.drugs.